Cranial end of Wolffian duct forms:
1. Epoophoron
2. Paraepoophoron
3. Gartner cyst
4. Bartholin cyst

Correct answer: 1. Epoophoron

Explanation: Ans: A (Epoophoron) Ref: Grays Anatomy 40th EdExplanation:Embryology of Reproductive SystemGonadMALES (Testis)FEMALES (Ovary)Gubernacular cord Mesonephros (Wolffian body)Gubernaculum testisOvarian and round ligamentsAppendix of epididymis (?)Appendices vesiculosae (?)Efferent ductulesEooophoronLobules of epididymis ParadidymisParoophoronAberrant ductules Mesonephric duct (Wolffian duct)Duct of epididymisDuct of epoopboron (Gartner's duct)Vas deferens Ejaculatory duct Part of the bladder and prcstatic urethraPart erf bladder and urethraParamesonephricDuct (Mullerian)Appendix of testsUterine tube UterusProstatic ulricteVaginaAllantoic ductUrachusUrachusCloaca: Dorsal partRectum and upper part of anal canalRectum and upper part of anal canalVentral partMost of bladderMost of bladder and urethra Part of the prostatic urethra Urogenital sinusProstatic urethra distal to the utricle Bulbo-urethral glandsGreater vestibular glandsRest of urethra to qlansVestibuleGenital foldsVentral penisLabia minoraGenital tuberclePenisClitorisUrethra in clans Genital ridgeTestisOvaryGenital swellingScrotumLabia majora